Which of the following is not a sign of pulmonary hydatidosis?
1. Water lily sign
2. Rising sun sign
3. Meniscus sign
4. Drooping lily sign

Correct answer: 4. Drooping lily sign

Explanation: Chest Xray of pulmonary hydatidosis shows a dense homogenous opacity.Ruptured hydatid cyst with collapsed laminated membrane produces irregular projections in a fluid level-'Water-lily' sign.It also shows 'Meniscus' sign or 'crescentic cap of air' when it communicates into bronchial tree.Other signs include 'Rising sun' or 'Daughter cyst' sign','Air-bubble'sign,etc. Reference:SRB's manual of surgery,5th edition,page no:1125